Bullet entry wound, for bullet entering at acute angle is identified by what shape of abrasion collar -
1. Circular
2. Rectangular
3. Oval
4. None of the above

Correct answer: 3. Oval

Explanation: The synopsis of forensic medicine & toxicology ; Dr k.s narayan reddy ; 28th edition ;pg.no 132 ; If bullet strikes at right angle abrasion collar is circular & uniform ,if acute angle the abrasion collar will be oval due to increased width on one one side .